Punishment for perjury is covered under section ?
1. 191 IPC
2. 193 IPC
3. 195 IPC
4. 197 IPC

Correct answer: 2. 193 IPC

Explanation: Ans. is `b' i.e., 193 IPC